The changes occuring in the disease frequency over many years is called -
1. Cyclic trend
2. Seasonal trend
3. Secular trend
4. None of the above

Correct answer: 3. Secular trend